Peripheral neuritis induced by isoniazid is prevented by giving which vitamin along with it?
1. Vitamin B1
2. Vitamin B6
3. Vitamin B3
4. Vitamin B12

Correct answer: 2. Vitamin B6

Explanation: Ans. is 'b' i.e., Vitamin B6 Isoniazid induced peripheral neuritis/ neuropathy* Peripheral neuritis is a well documented adverse effect of INH, which is also the most important dose dependant toxic effect.* Peripheral neuropathy is observed in 10 to 20% of patients given dosages greater than 5 mg/kg/d, but it is infrequently seen with the standard 300-mg adult dose.* Peripheral neuropathy is more likely to occur in slow acetylators and patients with predisposing conditions such as malnutrition, alcoholism, diabetes, AIDS, and uremia.* Neuropathy is due to a relative pyridoxine deficiency. It is due to interference with production of active co - enzyme PLP (Pyridoxal phosphate) from pyridoxine.* It is readily reversed by administration of pyridoxine in a dosage as low as 10 mg/d.